Klatskin tumor resembles-
1. Adenoma of liver
2. Cholangio CA
3. GB CA
4. Hepatic CA

Correct answer: 2. Cholangio CA

Explanation: Ans. is 'b' i.e., Cholangiocarcinoma o Extrahepatic adenocercinoma of bileducts, when proximal, is referred to as hilar cholangiocarcinoma (Klatskin's tumor).